Patient with genetic susceptibility of which of the following will have increased risk of periodontitis
1. IL 1
2. IL 2
3. IL 6
4. IL 8

Correct answer: 1. IL 1